Road traffic accident, a patient lying in right lateral position with bruise on face, elbow and lateral side of knee. Which nerve injury has maximum chances in this position of the victim?
1. Trigeminal nerve
2. Ulnar nerve
3. Common peroneal nerve
4. Tibial nerve

Correct answer: 3. Common peroneal nerve

Explanation: Amongst the mentioned nerves most frequently injured nerve in lateral position will be the nerve that has maximum chances of injury due to compression against a bony prominence and that is common peroneal nerve near fibular neck.